Regarding Juvenile 1,7ngeal papillomatosis, false is ?
1. Recurrent
2. Interferon is used in treatment
3. Premalignant
4. HPV 18 is the causative agent

Correct answer: 4. HPV 18 is the causative agent

Explanation: Ans. is 'd' i.e., HPV 18 is the causative agent [(Ref Nelson l8n/e p' 1772; Dhingra 6h/e p' 449)Juvenile papilloma (Recurrent laryngeal papillomatosis/Recurrent respiratory papillomatosis)Recurrent Respiratory Laryngeal Papillomatosis is a disease of viral origin characterized by the presence of multiple recurrent papillomas in the larynx.The disease is common in anterior part of glottis, especially anterior commissure.Etiology:Associated with Human Papilloma Virus infection (HpV).HPV6 and HPV 11 are most commonly associated with laryngeal disease.HPV 11 is associated with a more aggressive disease and makes the patient more prone to malignant change.